F 30 in ICD 10 denotes
1. mood disorders
2. anxiety disorders
3. substance use disorders
4. psychotic disorders

Correct answer: 1. mood disorders

Explanation: ICD CHAPTERS ICD is a text book for classification of psychiatric disorders. The below table comprises chapter numbers dealing with various psychiatric disorders. Ref. International classification of mental disorders, 10 th edition